Herbert's pit is seen in:
1. Vernal conjunctivitis
2. Atopic conjunctivitis
3. Gonococcal conjunctivitis
4. Chlamydial conjunctivitis

Correct answer: 4. Chlamydial conjunctivitis

Explanation: Ans: D (Chlamydial conjunctivitis) Ref Parsons Diseases of the Eye : 21st edition: pg no -- 172-175Explanation:TRACHOMA:Caused by Chalmydia trachomatis A, B, Ba, CSpread by 3Fs - Fingers, Fomites. FliesForms epithelial inclusion bodies - Halberstader Prowazek Inclusion BodiesConjunctiva - upper tarsal follicle which heals to form minute stellate scarsArlt's Line - fibrous band in the tarsal plateLimbal follicles - Herbert Follicles - Herbert PitsCornea - Pannus - lymphocytic infiltration w ith vascularisation of corneaWHO CLASSIFICATION STAGESFEATURESTREATMENTFollicles>5 follicles, >0.5mm in upper tarsusNeeds treatment No scarringIntense>50% palpebral blood vessels not seenUregent treatmentComplications +ScarringTarsal conj scarring with white fibrous bandsinactiveTrichiasisAt least cne trichiatic lashCorrective surgeryOpacitiesK opacity covering pupillary region SAFE STRATEGY:S - Surgery for trichiasis & entropionA - AntibioticsF - Frequent face washE - Environmental sanitation